Henle's and Huxley's layer are histologically seen in
1. Bulb of hair follicle
2. Tongue
3. Salivary gland
4. Sweat gland

Correct answer: 1. Bulb of hair follicle

Explanation: A i.e. Bulb of hair follicleBulb of hair follicle has following layers- Fibrous connective tissueExternal root sheathInternal root sheath composed of epithelium stratum (Henle's layer)Q and granular stratum (Huxley's layer)QCuticle, cortex & medulla of hair